An infant with severe respiratory distress is found to have double aortic arch during investigation. Double aortic arch is due to persistence and continued patency of the segment of:
1. Right dorsal aorta between the right seventh intersegmental artery and its junction with the left dorsal aorta
2. Right dorsal aorta between the right sixth intersegmental artery and its junction with the left dorsal aorta
3. Left dorsal aorta between the right seventh intersegmental artery and its junction with the left dorsal aorta
4. Left dorsal aorta between the right sixth intersegmental artery and its junction with the left dorsal aorta

Correct answer: 1. Right dorsal aorta between the right seventh intersegmental artery and its junction with the left dorsal aorta

Explanation: Aortic arch development involves the sequential development and then involution of six arch pairs, which arise from paired dorsal aortae that fuse distally. The fifth aortic arch is rudimentary. Double aortic arch is the result of persistence and continued patency of the segment of the right dorsal aorta between the origin of the right seventh intersegmental artery and its junction with the left dorsal aorta. Ref: Keller B.B., Markwald R.R., Hoying J.B. (2011). Chapter 9. Molecular Development of the Heart. In V. Fuster, R.A. Walsh, R.A. Harrington (Eds), Hurst's The Heart, 13e.